Thyroid carcinoma with good prognosis is?
1. Medullary
2. Papillary
3. Follicular
4. Anaplastic

Correct answer: 2. Papillary

Explanation: ANSWER: (B) PapillaryREF: Schwartz's Principles of Surgery 9th edition chapter 38, American Cancer Society. In turn citing: AJCC Cancer Staging Manual (7th ed), National Cancer Database in the US by F. Griinwald; Biersack, H. J.; Gr-umvald, F. (2005). Thyroid cancer Springer ISBN 3-540-22309-6 Page 10Prognosis depends mainly on the type of cancer and cancer stage.Thyroid cancer type 5-year survival 10-yearsurvivalStage IStage IIStage IIIStage IVOverallOverallPapillary100%100%93%51%96%93%Follicular100%100%71%50%91%85%Medullary100%98%81%28%80%-86%75%Anaplastic(always stage IV)7%7% -14%(no data)